A contact carrier in cholera has the following characteristic -
1. Gall bladder is infected
2. Stools are not positive for cholera vibrio
3. Does not play any role in spread of infection
4. Duration of carrier state is less than 10 days

Correct answer: 4. Duration of carrier state is less than 10 days

Explanation: The duration of contact carrier state is usually less than 10 days. The gall bladder is not infected. It plays an important role in the spread of cholera. The stool culture is frequently positive for V. cholera O1. Park's textbook of preventive and social medicine,K.Park,23rd edition,page no:230.